Electron beam therapy is used for which tumor -
1. Renal carcinoma
2. Kaposi sarcoma
3. Hepatic carcinoma
4. AML

Correct answer: 2. Kaposi sarcoma

Explanation: Ans. is 'b' i.e., Kaposi sarcoma * Electron-beam radiation therapy is the most common modality employed for the treatment of localized KS. Electron-beam therapy is highly effective in relieving facial and eyelid edema. It has also been used to shrink inguinal lymphadenopathy and plantar lesions but is usually not a first-line treatment for control of lower extremity edema or oral lesions because of the potential to worsen lymphedema and skin compliance when applied to the legs and to cause mucositis when used to treat oral lesions.